Which one of the following substances is the most potent androgen -
1. Dihydroepiandrostendione
2. Dihydrotestosterone
3. Androstendione
4. Testosterone

Correct answer: 2. Dihydrotestosterone

Explanation: Ans. is 'b' i.e., Dihydrotestosterone "Dihydrotestosterone is more active than testosterone - It binds more avidly with the cytoplasmic receptors, and this complex is more active than testosterone receptor complex in combining with DNA." o Dehydroepiandrosterone and androstenedione are weak androgen - Potency 1/20 to 1/30 of testosteone.